Which of the following factor has more influence on the posterior teeth than the condylar guidance:
1. Compensating curves.
2. Cuspal angulation.
3. Incisal guidance.
4. All of the above.

Correct answer: 3. Incisal guidance.

Explanation: Incisal guidance:
• Second factor of occlusion.
• It should be set depending upon the desired overjet and overbite planned for the patient.
• It has more influence on the posterior teeth than the condylar guidance.